Absorption of vitamin A can be enhanced by giving the child a diet rich in -
1. Fat
2. Protein
3. Minerals
4. Carbohydrates

Correct answer: 1. Fat

Explanation: Vitamin A is fat soluble. Hence fat diet helps in enhanced absorption. REF. PARK'S TEXTBOOK OF PREVENTIVE AND SOCIAL MEDICAL 21ST EDITION. PAGE NO - 568,569